Insulin is secreted by fetal pancreas from :
1. 12th week
2. 28th week
3. 32nd week
4. 38th weeks

Correct answer: 1. 12th week

Explanation: From 12 week of gestation,insulin is secereted by fetal pancreas. refer page no 71 of dutta's text book of obsteics,8 th edition.